Which of the following is the most common location of hypertensive hemorrhage?
1. Pons
2. Thalamus
3. Putamen/external capsule
4. Subcortical white matter

Correct answer: 3. Putamen/external capsule

Explanation: Answer is C (Putamen): 'The putamen is the most common site fir hypertensive haemorrhage' - Harrison's